Which of the following induces apoptosis in a cell -
1. Oleic acid
2. Glucocorticoids
3. Isoprenoids
4. Myristic acid

Correct answer: 2. Glucocorticoids

Explanation: . Glucocorticoids